Which of the following is the lateral curve position of the body in strychnine poisoning?
1. Emprostotonus
2. Opisthotonus
3. Pleurosthotonus
4. All of the above

Correct answer: 3. Pleurosthotonus

Explanation: In strychnine poisoning, Convulsions are most marked in antigravity muscles resulting in hyperextension (opisthotonus). Sometimes, the spasm of the abdominal musclesmay bend the body forward (emprosthotonus) or sideways (pleurosthotonus). Ref: Krishnan vij ; 5th ed; Page no: 522